Anesthetic drug which has highest minimum alveolar concentration is
1. Nitrous oxide
2. Isoflurane
3. Desflurane
4. Xenon

Correct answer: 1. Nitrous oxide

Explanation: MAC is measure of potency of inhalational anesthetic drug which is minimum concentration required to produce immobility in 50% individuals Nitrous oxide has lowest potency with highest MAC value